The maintenance of posture in a normal adult human being depends upon:
1. Integrity of reflex arc
2. Muscle power
3. Type of muscle fibers
4. Joint movements in physiological range

Correct answer: 1. Integrity of reflex arc

Explanation: A i.e. Integrity of Reflex arc'Postural Reflexes not only maintain the body in an upright balanced position but also provide the constant adjustments necessary to maintain a stable postural background for voluntary activity'- Ganong 22"V207Integrity of the postural reflex arc is therefore the single best answer of choice.